Therapeutic level of phenytoin is :
1. 0–9 mg/ml
2. 10–19 mg/ml
3. 20–29 mg/ml
4. 30–39 mg/ ml

Correct answer: 2. 10–19 mg/ml